Malignancy associated hypercalcemia is due to?
1. Tumor lysis syndrome
2. Parathyroid related peptide
3. IL-7
4. IGF-b

Correct answer: 2. Parathyroid related peptide

Explanation: Ans. is 'b' i.e., Parathyroid related peptide * Hypercalcemia is the most common paraneoplastic syndrome. Most commonly it is caused by parathyroid hormone-related peptide (PTHRP), followed by TNF-a, IL-1, and TGF. Lymphomas cause hypercalcemia due to secretion of 1, 25 dihydroxy vitamin D (Calcitriol).